All are seen in metachromatic leukodystrophy EXCEPT:
1. Intellectual disability
2. Optic atrophy
3. Decerebrate posture
4. Exaggerated tendon reflexes

Correct answer: 4. Exaggerated tendon reflexes

Explanation: Metachromatic leukodystrophy (MLD): Caused by defective enzyme Arylsulfatase A There is hypotonia and absent reflexes Intellectual disability Optic atrophy Decerebrate posture